Active form of vitamin D is:
1. Calcitriol
2. Calcifediol
3. Cholecalciferol
4. Ergocalciferol

Correct answer: 1. Calcitriol

Explanation: 1,25-dihydroxycholecalciferol or calcitriol is the active form of Vit-D .